All the following amoebae live in the large intestine except-
1. E.coli
2. E. nana
3. E.gingivalis
4. Iodamoeba butschlii

Correct answer: 3. E.gingivalis